Which of the following is a risk factor for development of gastric Ca?
1. Blood group O
2. Duodenal ulcer
3. Intestinal hyperplasia
4. Intestinal metaplasia

Correct answer: 4. Intestinal metaplasia

Explanation: Intestinal metaplasia is associated with increased risk of gastric cancer. Other risk factors includes positive family history, diet (high in nitrates, salt, fat), familial polyposis, gastric adenomas, hereditary nonpolyposis colorectal cancer, Helicobacter pylori infection, atrophic gastritis, intestinal metaplasia, dysplasia, previous gastrectomy or gastrojejunostomy (>10 y ago), tobacco use and Menetrier's disease. Ref: Schwartz's Principles of Surgery, 9th Edition, Chapter 26